Pressure of normal uterine contractions between 190-300 unit. Which unit is being referred to here?
1. Montevideo units
2. mmHg
3. cm of water
4. Joules/kg

Correct answer: 1. Montevideo units

Explanation: Montevideo units are used to define uterine activity. this is not very popular.TEXTBOOK OF OBSTETRICS, SHEILA BALAKRISHNAN,2nd edition, pg no:356